Incubation period of Influenza is:-
1. 1-3 days
2. 7-10 days
3. 10-14 days
4. 1-6 hours

Correct answer: 1. 1-3 days

Explanation: Incubation period :- Time interval b/w entry of organism till appearance of first sign / symptom. I.P of influenza is 1-3 days.( 18-72 hours)